A girl presents with primary amenorrhoea with normal breast, hirsutism and acne. She most probably has:
1. Klinefelter syndrome
2. PCOD
3. Turner's syndrome
4. Gonadal dysgenesis

Correct answer: 2. PCOD

Explanation: Hyperandrogenism most often presents as hirsutism, which usually arises as a result of androgen excess related to abnormalities of function in the ovary or adrenal glands. Virilization is in contrast rare and indicates marked elevation in androgen levels. The most common cause of hyperandrogenism and hirsutism is polycystic ovarian syndrome (PCOS). There are only two major criteria for the diagnosis of PCOS: Anovulation and the presence of hyperandrogenism as established by clinical or laboratory means.